All of the following are common causes of haematemesis except -
1. Chronic peptic ulcer
2. Pernicious anemia
3. Esophageal varices
4. Carcinoma of stomach

Correct answer: 2. Pernicious anemia